All the following drugs cause arteriolar dilatation except
1. Hydralazine
2. Diazoxide
3. Nifedipine
4. Glyceryl trinitrate

Correct answer: 4. Glyceryl trinitrate

Explanation: Nitrates are primary venodilators. Nefidipine is a calcium channel blocker and arteriolar dilator.Fenoldopam , minoxidil also cause vasodilationRef: KD Tripathi; 6th ed, pg 540